Risk factors associated with development of Gout A/E -
1. Female sex
2. Alcohol
3. Thiazide
4. Hypertension

Correct answer: 1. Female sex